All are absolute indications for Tonsillectomy, EXCEPT
1. Recurrent acute tonsillitis
2. Quinsy
3. Chronic tonsillitis
4. Apnoea

Correct answer: 3. Chronic tonsillitis

Explanation: (C) Chronic tonsillitis # Recurrent infections of Throat: This is the most common indication. Recurrent infections are further defined as:(a) Seven or more episodes in one year, or(b) Five episodes per year fo r 2 years, or(c) Three episodes per year for 3 years, or(d) Two weeks or more of lost school or work in one year.2. Peritonsilar Abscess: In children, tonsillectomy is done 4-6 weeks after abscess has been treated. In adults, second attack of peritonsillar abscess forms the absolute indication.3. Tonsillitis causing febrile seizures.4. Hypertrophy of tonsils causing airway obstruction (sleep apnoea) difficulty in deglutition interference with speech.5. Suspicion of malignancy): A unilaterally enlarged tonsil may be a lymphoma in children and an epidermoid carcinoma in adults. An excisional biopsy is done.6. Chronic tonsillitis is a relative indication.